Commonest type of lung carcinoma in non smokers is
1. Squamous cell carcinoma
2. Small cell carcinoma
3. Adeno carcinoma
4. Alveolar cell carcinoma

Correct answer: 3. Adeno carcinoma